Nuchal translucency is best measured at-
1. 8-10 weeks
2. 11-13 weeks
3. 15-17 weeks
4. 18-20 weeks

Correct answer: 2. 11-13 weeks

Explanation: Ans. is 'b' i.e., 11-13 weeks * Nuchal translucency (NT) can be measured using ultrasound when baby is between 11 weeks and 13 weeks plus six days old or when crown rump length (CRL) is between 45mm (1.8in) and 84mm (3.3in).* This ultrasound is showing measurement of nuchal translucency. Nuchal translucency scan is done to detect Down syndrome in fetus.Nuchal scan or nuchal translucency (NT) scan* Nuchal translucency (NT) can be measured using ultrasound when baby is between 11 weeks and 13 weeks plus six days old or when crown rump length (CRL) is between 45mm (1.8in) and 84mm (3.3in). It's difficult to do the scan before this time because your baby is still so tiny and after 14 weeks, any excess nuchal fluid may be absorbed by your baby's developing lymphatic system, so the test would not be accurate.* Nuchal translucency is a collection of fluid under the skin at the back of a baby's neck. All babies have some fluid, but many babies with Down's syndrome have an increased amount.* An NT of less than 3.5mm is considered normal when your baby measures between 45mm (1.8in) and 84mm (3.3in). The NT normally grows in proportion with baby. Any baby with an NT less than 1.3 mm to be low-risk in terms of Down syndrome.* The baby with an NT of 6mm has a high risk of Down's, as well as other chromosomal abnormalities (Trisomy 13, 18) and heart problems.